About Bragg peak effect of protons all are true, except:
1. Electromagnetic radiation
2. Produce ionization in biological system
3. The dose of single beam is 2-4 times greater than the path dose
4. Beam therapy for AV malformation of the brain.

Correct answer: 1. Electromagnetic radiation

Explanation: Ans. a. Electromagnetic radiationThe brag peak is a pronounced peak on the Bragg curve which plots the energy loss of ionizing radiation during its travel through matter.For proton, a-rays, and other ion rays, the peak occurs immediately before the particle come to rest.